Tyrosine kinase inhibitor with HER2/NEU receptor inhibition property?
1. Imatinib
2. Nilotinib
3. Lapatinib
4. Sunitinib

Correct answer: 3. Lapatinib

Explanation: Lapatinib has both the actions and active against breast cancer cells it is an EGFR inhibitor. Ref: KK Sharma 3rd ed. Pg: 870